A child is hepatitis B immunized the marker for seroconversion is
1. HBs Ag
2. Anti HBc IgM
3. Anti HBs Ag
4. Anti HBc IgG

Correct answer: 3. Anti HBs Ag

Explanation: i.e. (Anti HBs Ag): (193- Ghai 7th)Common sero pattern of hepatitis B infectionHBsAgAnti HBsAnti HBcHBeAgAnti HBeInterpretation+-IgM+-Acute infection--IgM+/-+/-Acute infection anti HBC window+-IgG+/--Chronic infection; high infectivity+-IgG-+Chronic infection; low infectivity+-+ /---Precore/ Cor mutant infection-+IgG-+/-Recovery from infection-+ --Immunization; false positive; infection in remote past